Pathological nipple discharge is mostly associated with ?
1. Fibroadenoma
2. Duct papilloma
3. Adenocarcinoma
4. Lobular carcinoma

Correct answer: 2. Duct papilloma

Explanation: .DUCT PAPILLOMA * Commonest cause of bloody discharge from nipple * It is usually single, from a single lactiferous duct * It blocks the duct causing ductal dilatation Clinical Features * Papilliferous swelling (projection), usually seen near the nipple orifice. * Blood stained discharge from the nipple is common. * But serous or serosanguinous discharge can also occur. * Single papilloma is not premalignant. * But multiple papillomas in many ducts can be premalignant. ref:SRB's manual of surgery,ed 3,pg no 466